Typically changes in a problem behavior shows how many stages:
1. 2
2. 3
3. 4
4. 5

Correct answer: 4. 5

Explanation: According to the transtheoretical model, there are 5 stage of change in substance use and other problem behaviors. Pre- contemplation- Person taking substance does not think its a problem Contemplation- Starts realizing that he has a problem Preparation- Takes a decision & starts planning Action - Quits and makes change in behavior Maintenance